The most frequent cataract type seen in adult retinitis pigmentosa patient is
1. PSC
2. Anterior polar
3. Cortical
4. Mixed

Correct answer: 1. PSC

Explanation: Ans. (a) PSCRef: Yanoff and Duker 2/e, p. 818; Kanski 7/e, p. 654* Retinitis pigmentosa is associated with posterior subcapsular cataract (PSC)Retinal pigment degeneration such as retinitis pigmentosa, Usher's syndrome and gyrate atrophy are associated with cataract, which are usually subscapular opacities.